The first permanent tooth to erupt in the oral cavity
is the:
1. Mandibular central incisor
2. Mandibular first molar
3. Maxillary central incisor
4. Maxillary first molar

Correct answer: 2. Mandibular first molar